A 42-year-old man presents with central, crushing chest pain that radiates to the jaw. The pain occurred while jogging around the local park. The pain was alleviated with rest. The ECG is normal. Diagnosis is?
1. Angina pectoris
2. Acute Pericarditis
3. STEMI
4. NSTEMI

Correct answer: 1. Angina pectoris

Explanation: Ans. A Angina pectorisRef CMDT 2019 pg. 369The patient is having chest pain on jogging which is a presentation of chronic stable Angina. It is aggravated by cold, by anxiety, and by exercise. In the case of a normal resting ECG, an exercise ECG should be obtained. All other choices present with chest pain on rest.